Not caused by chlamydia trachomatis -
1. Reiter's syndrome
2. Infertility
3. Conjunctivitis
4. Adult pneumonia

Correct answer: 4. Adult pneumonia

Explanation: Ans. is 'd' i.e., Adult pneumonia * Chlamydia trachomatis is classified into two broad biological variants which cause trachoma, inclusion conjuctivitis (TRIC) and lymphogranuloma venerum (LGV).* The TRIC biovar has been classified into 12 serovars - A, B, Ba, C causing blinding trachoma in endemic areas and serovars D to K associated with the less serious ocular infections, inclusion conjuctivitis and with various genital infections.* Serovars LI, L2, and L3 cause LGV and hemorrhagic proctitis. Chlamydia trachomatis | | | Biovar TRIC Biovar (LGV) | | | |SerotypesA, B, Ba, C SerotypesD, E, F, G, H, 1, J, K Serotypes (L1, L2, L3) | |||||||Endemic blinding trachomaInclusionconjuctivitisGenitalchlamydiasisInfantilepneumoniaLymphogranulomavenereumHemorrhagicproctitis* Serovars D-K genital chlamydiasis cause1) In man: Urethritis (NGU), epididymitis, proctitis, conjunctivitis, Reiter's syndrome.2) In women: Cervicitis, salpingitis, PID, infertility, Reiter's syndrome, peri hepatitis (Fitz-Hugh curtis syndrome).